The permissible dose of radiation from man sources in terms of rads per year should not exceed -
1. 1
2. 5
3. 10
4. 15

Correct answer: 2. 5

Explanation: Park's textbook of preventive and social medicine 23rd edition. * The additional permissible dose from man made sources should not exceed 5 rad a year.